Slap cheek appearance is seen in
1. Erythema infectiosum
2. Exanthem subitum
3. Roseola infantun
4. None of above

Correct answer: 1. Erythema infectiosum

Explanation: Ans. is 'a' i.e., Erythema infectiosum